All of the following are true regarding tetanus, EXCEPT:
1. It is transmitted from person to person
2. Heard immunity is not of much value
3. The main reservoir is soil and intestine of animals and humans
4. Incubation period is 6-10 days

Correct answer: 1. It is transmitted from person to person

Explanation: Tetanus is not transmitted from person to person. Hence herd immunity is not protective. This disease is more common in rural areas In worm climate and summer month More common among male Caused by clostridium tetani, a gram + anerobic, spore bearing organism Tetanospasmin a powerful exotoxin is produced by this bacteria. Bacteria containing drum stick shaped spore Infection is acquired by contamination of wounds with the spores of the bacteria. Spore are wides spread in soil and manure It is not transmitted from person to person , i.e. herd immunity is not protective Immunity only acquired only by immunization Even patient who have recovered from tetanus must be actively immunized. Ref: Park 22nd ed /p-285.